A 4 yr old partially immunized boy came to OPD with history of bouts of coughing. On staining the sputum sample an organism with bipolar staining was seen. Which among the following organism it would be ?
1. Y. Pestis
2. B. pertussis
3. S. Agalactae
4. K. Pneumonae

Correct answer: 2. B. pertussis

Explanation: Ans. is 'b' i.e., B. pertussis Bouts of Coughing and bipolar staining suggest the diagnosis of whooping cough (pertussis).